Agoraphobia is -a) Fear of open spacesb)  Fear of closed specesc) Fear of heightsd) Fear of crowded places
1. b
2. c
3. ad
4. ab

Correct answer: 3. ad

Explanation: Formerly the term agoraphobia was used to denote phobias of open spaces alone but it is now used in a wider sence, i.e. irrational fear of places and situations from where escape might be difficult. Such places are public places, stores, crowd, travelling alone in bus, train or plane or in lift.